Cysticercus cellulosae are pathogenic forms of which parasite?
1. Paragonimus westermani
2. Enterobius
3. Taenia solium
4. Taenia saginata

Correct answer: 3. Taenia solium

Explanation: Ans. c (Taenia solium). (Ref. Harrison, Medicine, 17th ed., chapter 213)ADULT TAPEWORM INFECTION (Taenia Solium)# The pork tapeworm T. solium can cause two distinct forms of infection in humans:- adult tapeworms in the intestine or- larval forms in the tissues (cysticercosis).# Humans are the only definitive hosts for T. solium;# Pigs are the usual intermediate hosts.# Infection that cause human cysticercosis is by ingestion of Taenia solium eggs. (JK'09)# The adult tapeworm generally resides in the upper jejunum.# Autoinfection can occur# 'Cigar shaped' calcification or 'rice-grain' calcification.Diagnostic Criteria for Human Cysticercosis1.Absolute criteriaa. Demonstration of cysticerci by histologic or microscopic examination of biopsy materialb. Visualization of the parasite in the eye by funduscopyc. Neuroradiologic demonstration of cystic lesions containing a characteristic scolex.2.Major criteriaa. Neuroradiologic lesions suggestive of neurocysticercosisb. Demonstration of antibodies to cysticerci in serum by enzyme-linked immunoelectrotransfer blotc. Resolution of intracranial cystic lesions spontaneously or after therapy with albendazole or praziquantel alnno3.Minor criteriaa. Lesions compatible with neurocysticercosis detected by neuroimaging studiesb. Clinical manifestations suggestive of neurocysticercosisc. Demonstration of antibodies to cysticerci or cysticercal antigen in cerebrospinal fluid by ELISAd. Evidence of cysticercosis outside the central nervous system (e.g., cigar-shaped soft tissue calcifications)4.Epidemiologic criteriaa. Residence in a cysticercosis-endemic areab. Frequent travel to a cysticercosis-endemic areac. Household contact with an individual infected with Taenia solium# Diagnosis is confirmed by either one absolute criterion or a combination of two major criteria, one minor criterion, and one epidemiologic criterion. A probable diagnosis is supported by the fulfillment of (1) one major criterion plus two minor criteria; (2) one major criterion plus one minor criterion and one epidemiologic criterion; or (3) three minor criteria plus one epidemiologic criterion,# Rx:- Intestinal T. solium infection is treated with a single dose of praziquantel (10 mg/kg).- Praziquantel occasionally evokes an inflammatory response in the CNS if concomitant cryptic cysticercosis is present.- Niclosamide (2 g) is also effective.